A 34-year-old female patient presented with left leg pain. On examination, the area was erythematous, red, warm and tender with indistinct borders. The doctor suspected cellulitis and started her on IV oxacillin. The doctor notes that the pain was disproportionate to the level of cellulitis and hence he admitted the patient. During night, the patient developed hypotension, deranged RFTs and deranged coagulation profile. The patient was stabilized, X ray and CT of the leg was conducted. Which is the most common organism causing the above condition: -
1. Group A Streptococcus
2. Staphylococcus aureus
3. Pseudomonas aeruginosa
4. Group D Streptococcus

Correct answer: 1. Group A Streptococcus

Explanation: This is a case of necrotizing fasciitis with picture of hypotension, acute renal failure and DIC. Both the x ray and CT images show dermal thickening, fascial edema and gas along the deep fascial planes. Life threatening condition Extensive necrosis of subcutaneous tissue and fascia Most common organism causing - Group A Streptococcus Physical findings initially are minimal compared to pain and fever Wide surgical debridement required